Which of the following premalignant lesion has the highest potential of getting converted into malignancy?
1. Apthous ulcer
2. Leucoplakia
3. Erythroplakia
4. Lichen planus

Correct answer: 3. Erythroplakia

Explanation: Among all oral precancerous lesions, Erythroplakia has the maximum potential to convert to malignancy.